A pool of presynaptic neurons innervate the dendrites of a postsynaptic neuron. Electrical signals are transferred from the dendrites to the soma of the postsynaptic neuron by which process?
1. Active transport
2. Capacitive discharge
3. Diffusion
4. Electrotonic conduction

Correct answer: 4. Electrotonic conduction

Explanation: Transmission of electrical signals in dendrites occurs by electrotonic conduction.